Which of the following DOES NOT cause flexion of the forearm:1. Pronator teres2. Brachialis3. Brachioradialis4. Anconeus5. Flexor pollicis longus
1. 1,4 & 5
2. 2 & 3
3. 1,2 & 3
4. 4 & 5

Correct answer: 4. 4 & 5

Explanation: Along with triceps, anconeus is main extensor of the forearm. Flexor pollicis longus causes flexion of first metacarpophalangeal joint. Flexion is performed by brachialis, biceps and brachioradialis. In some of standard books Pronator teres has also been mentioned as the flexors of the forearm.Also know:Pronator teres and flexor carpi radialis may also also act in flexion against resistance.In rapid extension, brachioradialis may also be active.